'Tentative cuts' are seen with
1. Homicide
2. Suicide
3. Culpicide
4. Fabricated wounds

Correct answer: 2. Suicide

Explanation: Ans. b (Suicide) (Ref. FMT by N. Reddy 5th/pg.93)TENTATIVE (preliminary cuts) CUTS# Hesitation cuts derive their name from the hesitation with which these incisions are made by a person intending to commit suicide by a cutting instrument.# He or she usually makes preliminary cuts before gathering sufficient courage to make final deep incision.# These are generally small, multiple, superficial, and usually skin deep.# They are seen with commencement of the incised wound and merge with the main incision.